All of the following are germ cell tumor EXCEPT:
1. Dysgerminoma
2. Choriocarcinoma
3. Clear cell tumor
4. Teratoma

Correct answer: 3. Clear cell tumor

Explanation: Ans. (c) Clear cell tumorClassification of ovarian tumorEpithelial tumor (80%)Germ cell tumorSex cord tumor* Clear cell tumor* Brenner's tumor* Serous tumor (MC)* Endometrioid tumor* Mucinous tumor* Choriocarcinoma* Dysgerminoma* Endodermal sinus tumor* Polyembroyoma* Teratoma (MC)* Theca cell tumor* Granulosa cell tumor* Androblastoma* Gynandroblastoma* ArrhenoblastomaMn: CBSE-MMn: C- DEPT: Mn: The GAGA